Treatment of menorrhagia are all the following EXCEPT
1. NSAIDS
2. Tranexamic acid
3. Norethisterone
4. Clomiphene

Correct answer: 4. Clomiphene

Explanation: MANGEMENT OF ABNORMAL UTERINE BLEEDING 1st line NSAIDS - Mefenamic acid Antifibrinolytic agents Like Tranexamic acid Next: Hormones therapy - progesterone alone, oestrogen alone or COCPs, Androgens like Danazol & Testosterone GnRH agonist, Surgical Like : D & C , Uterine artery embolisation, Endometrial ablation, Endometrial resection, Myomectomy, Hysterectomy.